vWF protects factor?
1. II
2. V
3. VIII
4. X

Correct answer: 3. VIII

Explanation: Ans. (c) VIII(Ref: Wintrobe's 13th/pg 1389)vWF is required for normal platelet adhesion, and also acts as a carrier of factor VIII in the plasma